Primary hyperaldosteronism can be diagnosed by all of the following criteria except:
1. Diastolic hypertension without edema
2. Metabolic acidosis present
3. Low plasma rennin activity that is not stimulated by volume depletion
4. Hyperaldosteronism which is not suppressed by volume expansion.

Correct answer: 2. Metabolic acidosis present

Explanation: Ans. 'b' i.e., Metabolic acidosis present The criteria for diagnosis of primary hvperaldosteronism are:o Diastolic hypertension without edema.o Hyposecretion of rennin (as judged by low plasma renin activity levels) that fails to increase appropriately during volume depletion.o Hypersecretion of aldosterone that does not suppress appropriately in response to volume expansion.